Unit of radiation exposure ?
1. Gray
2. Roentgen
3. Sievert
4. Red

Correct answer: 2. Roentgen

Explanation: Ans. is 'b' i.e., Roentgen Units of potency Roentgen and coulomb per kilograme - Units of exposure. It is the amount to which a person is exposed. Red and Gray- Units of absorbed dose. It is the amount which is absorbed per gram of tissue. Rem and Sievert - Product of the absorbed dose and the modifying factor. Represent the degree of potention danger to health